Coagulative necrosis is due to -
1. Denaturation of protein
2. Enzymatic digestion
3. Infection
4. None

Correct answer: 1. Denaturation of protein

Explanation: Ans. is 'a' i.e., Denaturation of protein o As explained above, necrosis results from two concurrent processes --> Enzymatic digestion and denaturation of proteins. o Necrotic cells may have different morphological patterns depending on the process that predominates. If Denaturation of proteins is the primary pattern --> Coagulative necrosis develops. If enzymatic digestion is the primary pattern --> Liquifactive necrosis develops.